By what age is the milestone of climbing steps with alternate feet achieved?
1. 2 years
2. 3 years
3. 4 years
4. 5 years

Correct answer: 2. 3 years

Explanation: Ans. is 'b' i.e., 3 years Gross motor development milestonesNeck holding3 monthsSitting with support5 monthsProne to supine and supine to prone6 monthsSitting without support8 monthsCrawling9 monthsCreeping10 monthsWalking with support11 monthsWalk independently1 yearRun well, climbing upstairs and going downstairs with one step at a time2 yearsRide tricycle; climbing upstairs with alternate feet3 yearsHopping; going downstairs with alternate feet4 yearsSkipping5 years